Main cytokine in ENL reaction:
1. TNF-a
2. IL-2
3. IFN
4. IL-12

Correct answer: 1. TNF-a

Explanation: Main cytokine in ENL reaction is TNF-a.